A patient, diagnosed with rheumatoid arthritis, was on medications. After 2 years, developed blurring of vision and was found to have corneal opacity. Which of the following drug most likely causes that?
1. Sulfasalazine
2. Chloroquine
3. Methotrexate
4. Leflunomide

Correct answer: 2. Chloroquine

Explanation: Salient Adverse Effects of DMARD's:DrugAdverse effectsGold* Diarrhea* Taste disturbances* Alopecia* DermatitisLeflunomide* Diarrhea* Hypokalemia* Weight loss* Alopecia* Increased incidence of respiratory infections* Raised liver enzymesNatalizumab* Progressive multifocal leukoencephalopathyMethotrexate* Bone marrow depression* Mucositis* Hepatotoxicity* Increased incidence of respiratory infectionsSulfasalazine* Neutropenia* Thrombocytopenia* Hepatitis* Reversible infertility in maleChloroquine* Bull's eye retinopathy* (Less with hydroxychloroquine)* Rash* Greying of hair* Irritable bowel syndrome* Myopathy and Neuropathy